Curare notch seen in capnograph is due to
1. Carbon dioxide rebreathing
2. Bronchospasm
3. Spontaneous breathing
4. Valve malfunction

Correct answer: 3. Spontaneous breathing

Explanation: With return of spontaneous ventilation, curare notch is seen in capnograph.